In which part of the semi circular canals is Calorie test based on thermal stimulation done?
1. Lateral
2. Posterior
3. Anterior
4. All of the above

Correct answer: 1. Lateral

Explanation: Cold or warm water or air is irrigated into the external auditory canal, usually using a syringe. The temperature difference between the body and the injected water creates a convective current in the endolymph of the nearby horizontal semicircular canal. Hot and cold water produce currents in opposite directions and therefore a horizontal nystagmus in opposite directions Mnemonic used to remember the FAST direction of nystagmus is COWS (Cold-Opposite, Warm-Same) Cold water = FAST phase of nystagmus to the side Opposite from the cold water filled ear, Warm water = FAST phase of nystagmus to the same side as the warm water filled ear. Contralateral when cold is applied and ipsilateral when warm is applied